Drug used for euvolemic hyponatremia in patient with advanced congestive heart failure is ?
1. Tolvaptan
2. Nesiritide
3. Hydrocortisone
4. Metoprolol

Correct answer: 1. Tolvaptan

Explanation: Ans. is'a'i.e., TolvaptanThe most common cause of euvolemic hyponatremia in SIADH (syndrome of inappropriate secretion of antidiuretic hormone).Thus the question is asking about the drug for SIADH in patients with cardiac failure.TolvaptanThis is an orally active nonpeptide vasopressin V2 receptor antagonist introduced recently for the correction of water retention and hyponatremia occurring in syndrome of inappropriate ADH secretion (SIADH) as well as in advanced CHF.In clinical trials on CHF patients with hyponatremia, tolvaptan has afforded short-term improvement by increasing water excretion, restoring serum Na+ and relieving dyspnoea.However, no long-term benefits have been noted.